True about Trotters triad -a) Conductive deafnessb) Involvement of CN VIc) Involvement of CN Xd) Palatal paralysise) Associated with nasopharyngeal angiofibroma
1. acd
2. ad
3. bc
4. bde

Correct answer: 1. acd